All are anticraving agent for alcohol except ?
1. Lorazepam
2. Naltrexone
3. Topiramate
4. Acamprosate

Correct answer: 1. Lorazepam

Explanation: Ans. is 'a' i.e., Lorazepam Treatment of alcohol dependence Detoxification (treatment of withdrawal) :- BZDs are the drugs of choice, e.g. chlordiazepoxide (131 choice), Diazepam (2"d choice). Maintenance after detoxification (to prevent relapse and maintenance of abstinence) :? Aversive agents (deferent agents) :- Disulfiram, CCC, metronidazole, Natrafezole. Anticraving agent :- Naltrexone, Acamprosate, fluoxetine, Topiramate, Nalmefene.